Hemiazygous vein crosses left to right at the level
1. T8
2. T10
3. T12
4. T6

Correct answer: 1. T8

Explanation: Hemiazygos vein crosses from left to right at the level of T8, after piercing the left crus of diaphragm while ascending.